All are components of duodenal switch surgery EXCEPT:
1. Gastro-duodenostomy
2. Cholecystectomy
3. Duodeno-ileostomy
4. Sleeve gastrectomy

Correct answer: 1. Gastro-duodenostomy

Explanation: Gastro-duodenostomy is not a component of duodenal switch surgery Components of duodenal switch surgery are: Sleeve gastrectomy Duodeno-ileostomy Jejuno-ileostomy Cholecystectomy Appendectomy